A person presents with following parameters PCO2 – 30 mm of Hg, PO2 – 105 mm of Hg, pH – 7.45 is having partially compensated -
1. Metabolic acidosis
2. Metabolic alkalosis
3. Respiratory acidosis
4. Respiratory alkalosis

Correct answer: 4. Respiratory alkalosis

Explanation: Increase in pH suggests alkalosis

PCO2 is decreased, this suggests respiratory alkalosis.
The metabolic component cannot be evaluated as data is not provided. So the diagnosis seems to be respiratory alkalosis.